A 18 month old child comes to subcenter with history of fever and cough. On examination weight was 11.5 kg, respiratory rate was 46/min, and there was no chest indrawing. Which is the most appropriate management?
1. IV antibiotics at PHC and observe
2. Give first dose of IV antibiotics & refer to higher center
3. Oral amoxicillin for 5 days and send home
4. Home remedies

Correct answer: 3. Oral amoxicillin for 5 days and send home

Explanation: Given scenario suggests diagnosis of Pneumonia as RR >40/min for 18 months of age T/t- Oral Amoxycillin for 5 days and send home SIGNS CLASSIFY AS TREATMENT Any general danger sign or stridor in a calm child Severe pneumonia or VERY severe disease Give 1st dose of Inj. Ampicillin & Gentamycin and refer urgently to hospital Chest indrawing AND/ or fast breathing Fast Breathing < 2 months ->60/min < 2-12 months ->50/min < 1-5 years ->40/min PNEUMONIA 1. Give oral Amoxycillin x 5 days 2. If wheezing present, inhaled bronchodilator x 5D 3. Soothe the throat & relieve cough with a safer remedy 4. If Cough > 15 days or recurrent wheeze - refer for the evaluation of TB or bronchial asthma 5. Advise the mother when to return immediately 6. Follow up in 2 days If the O2 saturation < 90% - refer urgently No sign of pneumonia or very severe disease NO PNEUMONIA Cough or cold Steps 2 to 5 Follow up in 5 days General danger signs - Persistent vomiting - Unconsciousness - Convulsions - Inability to drink or breast feed - Lethargy